Human genome contains -- base pairs
1. 3xl09
2. 3xl08
3. 3xl07
4. 3xl06

Correct answer: 1. 3xl09

Explanation: (3 x 109) (445 - Lippencott's 3rd) (321-HPRT27th)The human genome contains DNA with approximately three billion (109) base pairs that encode 30.000 to 40,000 genes located on 23 pairs of chromosomes